Which of the following acute-phase reactants is responsible for the anemia associated with chronic inflammation?
1. Fibrinogen
2. Serum amyloid (SAA)
3. C-reactive protein (CRP)
4. Hepcidin

Correct answer: 4. Hepcidin

Explanation: Acute-phase proteins are plasma proteins, mostly synthesized in the liver, whose plasma concentrations may increase  several  hundred-fold  as  part  of  the  response to  inflammatory  stimuli.
Three  of  the  best-known  of these proteins are:

C-reactive protein (CRP).
Fibrinogen. 
Serum amyloid A (SAA) protein. 

Acute-phase proteins have beneficial effects during acute inflammation, but prolonged production of these proteins (especially SAA) in states of chronic inflammation can, in some cases, cause secondary amyloidosis.
Chronically elevated plasma concentrations of hepcidin reduce the availability of iron and are responsible for the anemia associated with chronic inflammation.
Systemic effects of inflammation:

Fever: Cytokines (TNF, IL-I) stimulate production of PGs in hypothalamus.
Production of acute-phase proteins: C-reactive protein, others; synthesis stimulated by cytokines (IL-6, others) acting on liver cells.
Leukocytosis: Cytokines (CSFs) stimulate production of leukocytes from precursors in the bone marrow.
In some severe infections, septic shock: Fall in blood pressure, disseminated intravascular coagulation, metabolic abnormalities; induced by high levels of TBF and other cytokines.

Reference-Robbins BASIC PATHOLOGY 10th edition pg-87